Which of the following is not used as a sedative, but causes sedation as a side effect:
1. Digitalis, anti-arrhythmics
2. Antihistaminics, antidepressants
3. Macrolides
4. Benzodiazepines

Correct answer: 2. Antihistaminics, antidepressants

Explanation: Ans. (B) Antihistaminics, antidepressants (Ref: Goodman & Gilman 10th/e p452)First generation antihistaminics cause sedation and anticholinergic side effects.Sedative action of TCAs appears immediately and these drugs (particularly clomipramine, maprotiline and bupropion) lower the seizure threshold.Benzodiazepines are used as sedative drugs